Convalescent case of cholera remains infective for
1. 10-14 days
2. 14-21 days
3. 7 days
4. Less than 7 days

Correct answer: 2. 14-21 days

Explanation: CONVALESCENT CARRIER of cholera The patient who has recovered from an attack of cholera may continue to excrete vibrios, during his convalescence for 2-3 weeks. Convalescent state has been found to occur in patients who have not received effective antibiotic treatment. The convalescent carriers can often become chronic or long-term carriers. Ref : Park 23rd edition Pgno : 230